Which of following is attached to first rib?
1. Scalenus posterior
2. Serroatus posterior superior
3. Scalenus medius
4. None of the above

Correct answer: 3. Scalenus medius

Explanation: Scalenus mediums attached to the first rib. B D CHOURASIAS HUMAN ANATOMY UPPER LIMB THORAX VOLUME, 1 SIXTH EDITION, Page no,199